Medusa lock appearance in X-ray is seen in:
1. Ascariasis
2. Tapeworm
3. Hook worm
4. Ascaries and tapeworm

Correct answer: 1. Ascariasis

Explanation: Ans. Ascariasis